Which of the following statement about 'Cadaveric spasm' is not true?
1. It appears instantaneously after death
2. All muscles of body are involved
3. Great force is required to overcome it
4. It indicates the mode of death

Correct answer: 2. All muscles of body are involved

Explanation: Cadaveric spasm, also known as postmortemspasm, instantaneous rigor, cataleptic rigidity, or instantaneous rigidity, is a rare form of muscular stiffening that occurs at the moment of death and persists into the period of rigor mortis. In cadeveric spasm, only a part of muscles are involved and it causes stiffening of that particular muscles Ref synopsis of forensic laxminarayana 2e ; Krishnan vij Textbook of Forensic medicine and Toxicology 5th edtion ; pg no - 87